The infectivity of chickenpox lasts for
1. Till the last scab falls off
2. 6 days after onset of rash
3. 3 days after onset of rash
4. Till the fever subsides

Correct answer: 2. 6 days after onset of rash

Explanation: Period of communicability:
– Chickenpox: 1 – 2 days before to 4 – 5 days after appearance of rash
– Measles: 4 days before to 5 days after appearance of rash
– Diphtheria: 14 – 28 days from disease onset
– Poliomyelitis: 7 – 10 days before and after onset of symptoms